What is Felon -
1. Infection of nail fold
2. Infection of ulnar bursa
3. Infection of pulp space
4. Infection of DIP joint

Correct answer: 3. Infection of pulp space

Explanation: PULP INFECTION (FELON) The distal finger pad is essentially a closed fascial compartment filled with compact fat and subdivided by radiating fibrous septa. A rise in pressure within the pulp space causes intense pain and, if unrelieved, may threaten the terminal branches of the digital artery which supply most of the terminal phalanx. Pulp-space infection is usually caused by a prick injury; blackthorn injuries are particularly likely to become infected. The most common organism is Staphylococcus aureus. The patient complains of throbbing pain in the finger-tip, which becomes tensely swollen, red and acutely tender. Reference- Apley's system of orthopaedics 9th edn -pg 432